Which of the following features is least characteristic of Anorexia Nervosa?
1. Low self esteem
2. Extreme fear of weight gain
3. Restricted energy intake
4. Disturbed body image perception

Correct answer: 1. Low self esteem

Explanation: Essential features of anorexia nervosa: * Persistent energy intake restriction * Intense fear of gaining weight or of becoming fat * A disturbance in self perceived weight or shape